The usual location of Glomus jugular tumor is:
1. Epitympanum
2. Hypotympanum
3. Mastoidal cell
4. Promontory

Correct answer: 2. Hypotympanum

Explanation: Ans. B Hypotympanum Glomus tumor is of 2 types: Glomus jugulare Glomus tympanicum Arises from: Dome of jugular bulb Hypotympanum Invades: Jugular foramen therefore involves cranial nerves IX to XII and compresses jugular vein Clinical features: * Signs of com previa ion of cranial nerves IX to XII Arises from Promontory of middle ear Clinical features: * Aural symptoms sometimes with facial paralysis